In a distribution, if the mean is less median, then the distribution is said to be -
1. Negative skewed
2. Positively skewed
3. Normal distribution
4. No correlation

Correct answer: 1. Negative skewed

Explanation: Negative skewed ( left skewed ) : Mean less than median . Mode >median > mean Postitive skewed ( right skewed) : Mean more than median Mean > median > mode